Which one of the following doses in Loeffler units of Diphtheria Toxoid is incorporated in DPT vaccine per dose?
1. 5
2. 15
3. 25
4. 35

Correct answer: 3. 25

Explanation: DPT VACCINE: Composition of DPT Vaccine: Amount per dose (0.5 ml) Contents Glaxo Kasauli Diphtheria Toxoid Tetanus Toxoid Pertussis killed acellular bacilli Aluminium phosphate Thiomersal 25 Lf 5 Lf 20,000 million 2.5 mg 0.01% 30 Lf 10 Lf 32,000 million 3.0 mg 0.01%